Most common joint involved in gouty ahitis is
1. Knee joint
2. Hip joint
3. MP joint of the big toe
4. MP joint of thumb

Correct answer: 3. MP joint of the big toe

Explanation: Most common joint involved in gout is big toe i.e,metatarsophalangeal joint of great toe Refer Harrison 20th e p 2165 maheswari 9th ed